All the following are characteristic of schizophrenia except:
1. Third person hallucination
2. Inappropriate emotions
3. Intermittent mood changes
4. Formal thought disorder

Correct answer: 3. Intermittent mood changes

Explanation: C i.e. Intermittent mood changes